Muscle attached to lateral surface of greater trochanter:
1. Gluteus maximus
2. Gluteus medius
3. Gluteus minimus
4. Piriformis

Correct answer: 2. Gluteus medius

Explanation: Gluteus Medius attaches to the lateral surface of greater trochanter. Gluteus Minimus attaches to the anterior surface of greater trochanter. Gluteus Maximus attaches on posterior aspect of femur bone at gluteal tuberosity.